Which of the following statements about Wilson's disease is true -
1. Low serum ceruloplasmin and low urinary copper
2. Low serum ceruloplasmin and high urinary copper
3. High serum ceruloplasmin and low urinary copper
4. High serum ceruloplasmin and high urinary copper

Correct answer: 2. Low serum ceruloplasmin and high urinary copper